Prader-Willi syndrome includes the following except-
1. Congenital hypotonia
2. Obesity and hyperphagia
3. Intellectual disability
4. Cafe-au-lait spots

Correct answer: 4. Cafe-au-lait spots

Explanation: Ans-DNote-Cafe de lait spot is seen in neurofibromatosis